All are pharmacogenetic conditions, except -
1. Adenosine deaminase deficiency
2. Malignant hyper-pyrexia
3. Coumarin insensitivity
4. G6PD deficiency

Correct answer: 1. Adenosine deaminase deficiency

Explanation: Ans. is 'a' i.e., Adenosine deaminase deficiency o Examples of pharmacogenetic conditions are (i) Atypical pseudocholinesterase (prolonged succinylcholine apnea); (ii) Glucose-6-phosphate dehydrogenase (G-6-PD) deficiency; (iii) Acetylator polymorphism; (iv) Acute intermittent porphyria; (v) Malignant hyperthermia by halothane; (vi) Resistance to coumarin anticoagulants; (vii) inability to hydroxylate phenytoin; (viii) CYP2D6 abnormality; and (ix) Precipitation of acute angle closure glaucoma by mydriatics.